Digital radiography requires less radiation than conventional radiography because:
1. The sensor is larger.
2. The sensor is more sensitive to x-rays.
3. The exposure time is increased.
4. All of the above.

Correct answer: 2. The sensor is more sensitive to x-rays.

Explanation: Digital radiography utilizes sensor which is more sensitive to X-rays than conventional film.